All are markers of Mantle cell lymphoma except
1. CD5
2. CD19
3. CD20
4. CD23

Correct answer: 4. CD23

Explanation: Answer is option 4, CD23 Immunohistochemical expression of CD23 and CD40 may identify prognostically favorable subgroups of diffuse large B-cell lymphoma: a Nordic Lymphoma Group Study. Linderoth J1, Jerkeman M, Cavallin-Stahl E, Kvaloy S, Torlakovic E; Nordic Lymphoma Group Study. Author information Abstract PURPOSE: In search for subgroups of diffuse large B-cell lymphoma (DLBCL) with different histogenetic origin and prognosis, as has been described by gene expression profiling, we examined tumor specimens from 125 patients with DLBCL, uniformly treated by either cyclophosphamideAdriamycin-vincristine-prednisone or methotrexate, doxorubicin, cyclophosphamide, vincristine, prednisone, and bleomycin in a multicenter trial set by the Nordic Lymphoma Group 1989-1994.